Which of the following statement is not true about Gout?
1. Alcohol is a risk factor for the disease
2. Tophi is characteristic of gout
3. Great toe is most commonly affected
4. Aspiration shows urate crystals which are needle shaped and positively birefringent

Correct answer: 4. Aspiration shows urate crystals which are needle shaped and positively birefringent

Explanation: Aspiration in acute gout shows  diagnostic finding of needle shaped negatively-birefringent uric acid crystals(yellow when parallel to the axis )